Double decidual sign is seen in?
1. Uterine gestational sac
2. Pseudo gestational sac
3. Threatened Abortion
4. Ectopic pregnancy

Correct answer: 1. Uterine gestational sac

Explanation: Double decidual sign is seen in Uterine gestational sac Double decidual sac sign on USG - Intra-uterine sac (Eccentrically placed) Outer layer - Decidua Parietalis Inner layer - Decidua Capsularis Indicates - Intrauterine pregnancy